Extension of knee joint is caused by
1. Gracilis
2. Popliteus
3. Quadriceps femoris
4. Semitendinosus

Correct answer: 3. Quadriceps femoris

Explanation: C. i.e. Quadriceps femoris